Receptor on neuronal memebrane that induces development of glioma
1. CD -117
2. CD - 133
3. CD - 33
4. CD - 45

Correct answer: 2. CD - 133

Explanation: . CD &; 133